The mode of inheritance of incontinentia pigment is –
1. Autosomal dominant
2. Autosomal recessive
3. X-linked dominant
4. X-linked recessive

Correct answer: 3. X-linked dominant

Explanation: Incontinentia pigmenti is an X-linked dominant disorder